A patient with the complaint of sore throat, dysphagia, and ulcers over the palate since 1 week, comes to OPD. On examination, you found vesicles over the soft palate and tonsillar pillar. The ulcers have a gray base and inﬂamed periphery. What could be the possible diagnosis?
1. Herpangina
2. Pharyngitis
3. Chickenpox
4. Primary herpetic gingivostomatitis

Correct answer: 1. Herpangina

Explanation: Differential Diagnosis

Tonsillitis / pharyngitis : No vesicles / ulcers, purulent exudate, culture.
Chickenpox : Skin lesions
Primary herpetic gingivostomatitis : Generalised acute marginal gingivitis, not epidemic, in anterior part of oral cavity.